All of these drugs can be used in the treatment of post menopausal osteoporosis EXCEPT:
1. Alendronate
2. Teriparatide
3. Calcium
4. Thyroxine

Correct answer: 4. Thyroxine

Explanation: Thyroid hormones and glucocorticoids increase the risk of osteoporosis whereas other drugs mentioned in the options are used to treat osteoporosis.